Egg yields about .... kcal of energy:
1. 70 kcal
2. 80 kcal
3. 90 kcal
4. 100 kcal

Correct answer: 1. 70 kcal

Explanation: Ans: A i.e. 70 kcal